Pseudo-hypokalemia occurs due to?
1. Leukemia
2. Leucopenia
3. Inappropriate fist clenching/tight compression of muscles prior to sampling
4. Use of a thin bore needle during sampling

Correct answer: 1. Leukemia

Explanation: In Leukemia there is In vitro shift of K+into cells and if sample is kept for long outside and it may show Pseudo-hypokalemia. Pseudo K??" Leukemia Pseudo K??' Thin bore needle, Excessive clenching of the fist, Hemolysis Pseudo Na??" Lipids??' , Multiple myeloma